Left -sided pleural effusion seen in
1. Pancreatitis
2. Rheumatoid arthritis
3. Hypoproteinemia
4. CCF

Correct answer: 1. Pancreatitis

Explanation: Answer is A (Pancreatitis) Predominantly left side effusion is a feature of Pancreatic effusion and effusion secondary to esophageal rupture. Pleural Effusion Predominant left sided pleural effusion Predominant right sided pleural effusion * Acute pancreatitis * Amoebic liver abscess * Oesophageal rupture * Cirhosis of liver * Dressler's syndrome * Congestive cardiac failure (postmyocardial infarction syndrome) * Meig's syndrome (fibroma of ovary with ascites ad pleural effusion)